74yr old female was diagnosed to have rheumatic heart disease. She underwent valve replacement surgery, after few days she started to complain of numbness and inability to move her left leg. Femoral, popliteal & pedal impulses were not felt on left side of pt. but . side examination of lower leg was normal. What is most appropriate management in this patient?
1. CT angiogram of bilateral lower extremities
2. Embolectomy of the left femoral artery
3. Duplex imaging of the left lower extremity arteries
4. CT angiogram of the left lower extremity

Correct answer: 2. Embolectomy of the left femoral artery

Explanation: It is a case of Acute arterial insufficiency leading to neurological compromise Other non invasive testing is not required (Duplex scan/CT Angiography) as they will delay the treatment process. Embolectomy of femoral artery can be performed under local anesthesia and has minimum risk to pt. Exploration of contralateral side is not required in absence of signs and symptoms of other side.